Treatment of choice of Warthin tumour is ?
1. Radical parotidectomy
2. Superficial Parotidectomy
3. Superficial Parotidectomy with neck dissection
4. Enucleation

Correct answer: 2. Superficial Parotidectomy

Explanation: All tumours of the superficial lobe of the parotid gland should be managed by superficial parotidectomy. There is no role for enucleation even if a benign lesion is suspected. The aim of superficial parotidectomy is to remove the tumour with a cuff of normal surrounding tissue. The term 'suprafacial parotidectomy' has been used as not all branches of the facial nerve need be formally dissected, particularly if a tumour lies in the lower pole of the parotid gland Bailey & Love,25th edition,762.